The severity of mitral stenosis is assessed by
1. Character of murmur
2. Splitting of S
3. Loudness of S,
4. S2-OS interval

Correct answer: 4. S2-OS interval

Explanation: Mitral stenosis. A normal mitral valve will have an area of >4 cm2, but symptoms are usually only present once the stenosis is moderate-severe. Grading into mild, moderate, or severe disease is based on both the pressure needed to drive blood across the valve (mean pressure gradient) and the valve area. Ref Davidson 23rd edition pg 435